All of the following are true about blood staining of the cornea except
1. Its occurrence is hastened by the raised intraocular pressure
2. Visual prognosis is usually poor in such cases
3. It clears from centre towards periphery
4. Its clearance may take 2 years or more

Correct answer: 3. It clears from centre towards periphery

Explanation: BLUNT TRAUMA Cornea Blood staining of cornea: It may occur occasionally from the associated hyphaema and raised intraocular pressure. Cornea becomes reddish brown or greenish in colour and in later stages simulates dislocation of the clear lens into the anterior chamber. It clears very slowly from the periphery towards the centre, the whole process may take even more than two years. Ref:- A K KHURANA; pg num:-404